Normal inspiratory reserve volume (IRV) is ?
1. 500 ml
2. 1200 ml
3. 3000 ml
4. 4900 ml

Correct answer: 3. 3000 ml

Explanation: Ans. is 'c' i.e., 3000 ml(Ref: Ganong 24e/e p.629)